Absolute indication for choledochotomy
1. Gallstone ileus
2. Fever
3. Gallstone pancreatitis
4. Palpable CBD stone

Correct answer: 4. Palpable CBD stone

Explanation: Choledochotomy Absolute indications(High Suspicion of CBD calculi) Palpable CBD stone Jaundice with cholangitis Demonstration of stone on intra operative cholangiography CBD diameter >12 mm Relative indication (Low Suspicion of CBD calculi) Jaundice without cholangitis History of pancreatitis. Dilated CBD White bile on aspiration Dilated cystic duct Ref: Shackelford 7th edition Pgno :1326-1331